High anion gap metabolic acidosis is/are present in:
1. Asthma
2. COPD with CO2 retention
3. Poorly controlled diabetes
4. Renal tubular acidosis

Correct answer: 3. Poorly controlled diabetes

Explanation: Answer- C. Poorly controlled diabetesKetoacidosisDiabeticAlcoholicStarvation